Function of meciroglia in CNS:
1. Phagocytosis
2. Myeline synthesis
3. Fibrosis
4. All

Correct answer: 1. Phagocytosis

Explanation: A i.e. Phagocytosis